Which one of the following is not a mitochondrial disorder
1. Leigh syndrome
2. Pearson syndrome
3. NARP
4. Agamma globulinemia

Correct answer: 4. Agamma globulinemia

Explanation: Agamma globulinemia - X-linked recesssive.